Spontaneous mouth petechiae and gingival bleeding occur typically at platelet levels
1. Between 300,000 - 500,000/mm3
2. Between 20,000-30,000/mm3
3. Between 150,000-170,000/mm3
4. Between 70,000-185,000/mm3

Correct answer: 2. Between 20,000-30,000/mm3